The superior pancreaticoduodenal artery is a branch of -
1. Hepatic artery
2. Splenic artery.
3. Gastroduodenal artery
4. Inferior mesenteric artery

Correct answer: 3. Gastroduodenal artery

Explanation: Branches of major arteries of gut
1. Celiac trunk :

Left gastric artery
Splenic artery


Left gastro-epiploic artery
Short gastric arteries
Pancreatic arteries

      c. Common Hepatic artery

Right gastric artery
Right and left hepatic arteries
Right hepatic artery gives cystic artery
Gastroduodenal artery
Right gastroepiploic artery
Superior pancreaticoduodenal artery

2. Superior mesenteric artery :

Inferior pancreaticoduodenal artery
Middle colic artery
Right colic artery
Ileocolic artery


Anterior cecal artery
The posterior cecal artery which gives appendicular artery
Jejunal and ileal branches


3. Inferior mesenteric artery :

Superior rectal artery
Sigmoid artery
Left colic artery